The most common site for myocardial infarction is -
1. Left atrium
2. Left ventricle
3. Right atrium
4. Right ventricle

Correct answer: 2. Left ventricle